Usual incubation period for hepatitis B virus infection is:
1. 1 — 2 days
2. 1 — 2 weeks
3. 1 — 6 months
4. 1 year

Correct answer: 3. 1 — 6 months